Heme is which porphyrin
1. Type I
2. Type II
3. Type III
4. Type IV

Correct answer: 3. Type III

Explanation: Ans. is 'c' i.e., Type III